Mechanism of action of oral contraceptives containing ethinyl oestradiol and a progesterone is :
1. Inhibiting ovulation
2. Inhibiting the implantation
3. Thickening of cervical mucus
4. None of the above

Correct answer: 1. Inhibiting ovulation

Explanation: Inhibiting ovulation